What is placed during surgery for cochlear implant?
1. Microphone
2. Speech processor
3. Transmitting coil
4. Receiver stimulator

Correct answer: 4. Receiver stimulator

Explanation: Microphone, Speech-processor and Transmitter are the part of external component of cochlear implant, which remain outside the body. Receiver/Stimulator (Implanted under the skin) and Electrode array (implanted in the scala tympani of the cochlea) are the part of internal component of cochlear implant, which are fitted inside the body.